The following drug is not associated with pure red cell aplasia:
1. Phenytoin
2. Isoniazid
3. Erythropoietin
4. None of the above

Correct answer: 4. None of the above

Explanation: Ans. (d) None of the above(Ref: Robbins 9th/pg 653-655)Drugs: associated with PRCA are Phenytoin, azathio- prine, chloramphenicol, procainamide, isoniazid Q